Mechanism of zileuton:
1. Cyclooxygenase inhibitor
2. 5-lipoxygenase inhibitor
3. Phosphodiesterase inhibitor
4. Mast cell degranulation

Correct answer: 2. 5-lipoxygenase inhibitor

Explanation: Ans. B. 5-lipoxygenase inhibitorZileuton is drug which inhibit the synthesis of leukotrienes as they are chemotactic and causes bronchoconstriction.